A twisting injury of knee in flexed position would result in injury to all except
1. Meniscal tear
2. Capsular tear
3. Anterior cruciate ligament
4. Fibular collateral ligament

Correct answer: 4. Fibular collateral ligament

Explanation: D i.e. Fibullar collateral ligament The most common mechanism of ligament disruption of knee is abduction (valgus),flexion and internal rotation of femur on tibia which usually occur in sports in which the foot is planted solidly. on the ground and leg is twisted by rotating body (i.e. foot ball, soccer, basket ball, skiing ) The medial structures medial (tibial) collateral ligament (MCL) and medial capsular ligamentQ are first to fail, followed by ACL tearQ, if the force is of sufficient magnitude. The medial meniscusQ may be trapped between condyles and have a peripheral tear, thus producing unhappy triad of 0' Donoghue